Pulp tissue contains all except:
1. Fibroblast
2. Capillary
3. Collagen
4. Cell rests of malassez

Correct answer: 4. Cell rests of malassez